Which of the positions best describes the location of celiac plexus?
1. Anterolateral to Aorta
2. Posterolateral to Aorta
3. Anterolateral to sympathetic chain
4. Anteromedial to sympathetic chain

Correct answer: 1. Anterolateral to Aorta

Explanation: The celiac plexus or coeliac plexus, also known as the solar plexus because of its radiating nerve fibers, is a complex network of nerves (a nerve plexus) located in the abdomen, near where the celiac trunk, superior mesenteric artery, and renal arteries branch from the abdominal aorta. image ref - britannica.com